Crescent shaped abrasion is seen in injury with:
1. Wood cane
2. Nail scratch
3. Bicycle chain
4. Ligature

Correct answer: 2. Nail scratch

Explanation: Ans. Nail scratch